Condyloma acuminatum is caused by ?
1. HSV
2. HPV
3. HIV
4. VZV

Correct answer: 2. HPV

Explanation: Ans. is 'b' i.e., HPV Warts . Warts are caused by human papilloma virus (HPV)